True statement about pyelonephritis in children:
1. Neonates can have non-specific symptoms
2. Flank pain a common finding
3. Should be suspected in all children <2 years of age with fever due to unknown cause
4. All of these

Correct answer: 4. All of these

Explanation: Ans. D. All of theseAcute pyelonephritis is considered one of the most serious bacterial infections, especially in children <2 years of age having fever due to an unknown cause. Children with acute pyelonephritis often have severe flank pain, fever, nausea and vomiting. Neonates can however present with non-specific symptoms.